When establishing balanced occlusion, lingual cusps of maxillary posterior teeth on the non-working side should contact:
1. Facial incline of the Lingual cusp of mandibular posterior teeth
2. The lingual incline of the lingual cusp of mandibular posterior teeth
3. Lingual incline of the facial cusp of mand. posterior teeth
4. Central fossa of mandibular posterior teeth

Correct answer: 3. Lingual incline of the facial cusp of mand. posterior teeth